Dennis brown splint is used for -
1. CTEV
2. Rocker bottom foot
3. Mannus valgus
4. Maanus varus

Correct answer: 1. CTEV

Explanation: Ans. is 'a' i.e., CTEV NameUseCramer-wire splintEmergency immobilisationThomas splintFracture femur-anywhereBohler-Braun splintFracture femur-anywhereAluminium splintImmobilization of fingersDennis Brown splintCTEVCock-up splintRadial nerve palsyKnuckle-bender splintUlnar nerve palsyToe-raising splintFoot dropVolkmann's splintVolkmann's ischaemic contracture (VIC)Four-post collarNeck immbilisationAeroplane splintBrachial plexus injurySOMI braceCervical spine injuryASHE (Anterior spinal hyperextension)Dorso-lumbar spinal injury braceTaylor's braceDorso-lumbar immobilisationMilwaukee braceScoliosisBoston braceScoliosisLumbar corsetBackache